Profuse expectoration of two months durations and clubbing may be seen
1. Sarcoidosis
2. Polyarteritis nodosa
3. Pulmonary artery hypertension
4. Allergic bronchopulmonary aspergillosis

Correct answer: 4. Allergic bronchopulmonary aspergillosis

Explanation: Allergic bronchopulmonary aspergillosis represents a hypersensitivity reaction to Aspergillus fumigatus.Episodes of bronchial obstruction with mucous plugs leading to coughing 'fits',breathlessness,pulmonary infiltrates.It can result in the development of bronchiectasis.Clubbing can be seen in this case. Reference:Harrison's Medicine-18th edition,page no:1658;Davidson's Medicine-22nd edition,page no:697.